In a blast injury, which of the following organ is least vulnerable to the blast wave -
1. G.I. tract
2. Lungs
3. Liver
4. Ear drum

Correct answer: 3. Liver

Explanation: • Primary blast injuries result from the rapid overpressure or shock waves produced by an explosion
• These injuries result from the dramatic changes in barometric pressure projected from the point of detonation
• Primary blast injuries predominantly cause damage to air filled hollow organs of the body from rapid pressure change (barotraumas).\
• Damage to air filled organs includes middle ear, lungs and GIT.
• Most sensitive and most frequently injured hollow organ: Tympanic membrane > Lungs
• Blast damage to the lungs is the MC cause of life threatening injury following an explosion.